In criminal cases, while serving the summons the conduct money is paid by:
1. Court
2. Opposite party
3. Judge
4. No conduct money is given

Correct answer: 4. No conduct money is given

Explanation: CONDUCT MONEY It is Fee given to the witness to cover the expenses for attending the court in civil cases. If he feels the amount is less or not paid, he can bring it to the notice of the judge. The judge will fix the fees to be paid. In criminal cases, no fee is paid & witness has to attend the court in the interest of the state. In criminal cases, no fee is paid to the witness at the time of serving the summons. He must attend the court and give evidence because of the interest of the State in securing justice; otherwise he will be charged with contempt of court. However, conveyance charges and daily allowance are paid according to the Government rules after the testimony.